Treatment of choice in deafness associated with attico-antral perforation is
1. Simple mastoidectomy
2. Modified radical mastoidectomy
3. Wait and watch
4. Instillation of antibiotic drops

Correct answer: 2. Modified radical mastoidectomy

Explanation: Modified radical mastoidectomy, whereas much of the hearing mechanism as possible is preserved. The disease process which is often localised to the attic and antrum is removed and the whole area fully exteriorised into the meatus by removal of the posterior meatal and lateral attic wall. Indications1. Cholesteatoma confined to the attic and antrum.2. Localised chronic otitis media. (Ref: Textbook of ENT, PL Dhingra, 7th edition, pg no. 461)